Inverted T waves are seen in ?
1. Hyperkalemia
2. Hyperthermia
3. Wellen syndrome
4. Coronary syndrome

Correct answer: 3. Wellen syndrome

Explanation: Ans. is 'c' i.e., Wellen syndrome o Severe anterior wall Ischemia (with or without infarction) may cause prominent T-wave inversions in the precordial leads. This pattern (sometimes referred to as Wellens T-waves) is usually associated with a high-grade stenosis of the left anterior descending coronary artery-.o Hyperkalemia has tall Tented T-waves.o Coronary syndrome Xis characterised by blockage of perforators while the epicardial coronary artery is normal. In these patients stenting of coronaries is not useful. Nitrates are mainstay of therapy.